All are true about temporal arteritis, Except -
1. Polymyalgia rheumatica
2. Anaemia
3. Low ESR
4. Sudden blindness is a complication

Correct answer: 3. Low ESR